Which of the following stage of breast cancer corresponds with following features? 1. Breast mass of 6 X 3 cm 2. Hard mobile axillary lymph node on ipsilateral side 3. Ipsilateral supraclavicular lymph node
1. T4 N2 M0
2. T3 N1 M1
3. T3 N3 M0
4. T3 N2 M1

Correct answer: 3. T3 N3 M0

Explanation: Tumour size more than 5 cm corresponds to T3 and the finding of supraclavicular lymph node on ipsilateral side denotes N3c, hence TNM stage is T3 N3 M0. Remember: Tumor size Tumor size 2-5 cm in greatest dimension -----T2 Tumor size > 5 cm in greatest dimension -------T3 N1 denotes metastasis to ipsilateral lymph nodes, mobile. N2a denotes metastasis to ipsilateral lymph nodes, fixed or matted. N2b denotes ipsilateral internal mammary nodes in the absence of clinically evident axillary lymph nodes. N3a denotes metastasis to ipsilateral infraclavicular lymph node. N3b denotes metastasis to ipsilateral internal mammary lymph node and ipsilateral axillary lymph nodes. N3c Metastasis to ipsilateral supraclavicular lymph nodes. M0 denotes no distant metastasis while M1 is indicative of distant metastasis. Ref: Schwartz 9/e, Page 452 ; CSDT 13/e, Page 291